CSOM with Picket fence fever is seen in
1. Meningitis
2. Sigmoid Sinus Thrombosis
3. Brain Abscess
4. Extradural Abscess

Correct answer: 2. Sigmoid Sinus Thrombosis

Explanation: Sigmoid sinus thrombosis/lateral sinus thrombosis is an inflammation of inner wall of lateral venous sinus with formation of an intra sinus thrombus It occurs as a complication of chronic suppuration of middle ear or acute coalescent mastoiditis, and cholesteatoma Picket fence fever temperature never comes back to normal baseline. Remittent fever. Complications of CSOM - Intra temporal Intracranial Mastoiditis Meningitis - m/c Petrositis Brain abscess Facial paralysis Extradural abscess Labyrinthitis Subdural abscess Lateral sinus thrombophlebitis Otitic hydrocephalus